Full blown Immunodeficiency syndrome is -
1. High viral titres with low CD 4 count
2. Low viral titres with low CD 4 count
3. Low viral titres with high CD 4 count
4. High viral titres with high CD 4 count

Correct answer: 1. High viral titres with low CD 4 count

Explanation: HIV infects CD4 T cells. Thus in full blown infection, there will be high viral titres with low CD4 count.Textbook of microbiology REF:Ananthanarayan and Paniker. Page no.:574